Epithelioid cells are seen in all of the following
except
1. Tuberculosis
2. Granulation tissue
3. Syphilis
4. Sarcoidosis

Correct answer: 2. Granulation tissue